All are seen in 3rd nerve palsy except-
1. Ptosis
2. Diplopia
3. Miosis
4. Outward deviation of eye

Correct answer: 3. Miosis

Explanation: Clinical features of third nerve palsy include: Ptosis Deviation Ocular movements are restricted in all directions except outward Pupil is fixed and dilated Accomodation is completely lost Crossed diplopia Head posture may be changed if pupillary area remains uncovered. Ref;A.K.Khurana; 6th edition; Page no: 355